A 7-year old male child presents with normal vision 6/6 in the right eye and hand movement perception close to the face in the left eye. On fundoscopy, his right eye was normal and left eye showed retinal detachment, subretinal yellowish exudates and telangiectatic vessels. The most likely diagnosis is:
1. Coats' disease
2. Sympathetic ophthalmitis
3. Familial exudative vitreoretinopathy
4. Retinopathy of prematurity

Correct answer: 1. Coats' disease

Explanation: Ans. a. Coats' disease